Thrombophlebitis of the superficial veins of the breast are called
1. Mondor's disease
2. Milroy's disease
3. Montgomery's nodule
4. Metzenbaum disease

Correct answer: 1. Mondor's disease

Explanation: Mondor's disease ; Thrombophlebitis of the superficial veins of the breast and anterior chest wall cause is unknown presents as thrombosed subcutaneous cord which is attached to the skin it is often self limited it is often mimics the lymphatic permeation of CA Breast ref ;(page no;525) 5th edition of SRB'S Manual of SURGERY